Which of the following is the most troublesome source of bleeding during a radical retropubic prostatectomy
1. Dorsal venous complex
2. Inferior vesical pedicle
3. Superior vesical pedicle
4. Seminal vesicular artery

Correct answer: 1. Dorsal venous complex

Explanation: Radical retropubic prostatectomy is a surgical procedure in which the prostate gland is removed through an incision in the abdomen. It is most often used to treat individuals who have early prostate cancer. Radical retropubic prostatectomy can be performed under general, spinal, or epidural anesthesia and requires blood transfusion less than one-fifth of the time. Radical retropubic prostatectomy is associated with complications such as urinary incontinence and impotence, but these outcomes are related to a combination of individual patient anatomy, surgical technique, and the experience and skill of the surgeon. Bleeding may most commonly occur from Dorsal venous complex Ref: Campbell 11th edition Pgno : 2813